Inversion of nipple occurs due to the involvement of
1. Breast lobules
2. Montogomory tubercles
3. Cooper ligament
4. Lactiferous ducts

Correct answer: 4. Lactiferous ducts

Explanation: Breast carcinoma arising from lactiferous ducts is called as ductal carcinoma.

Breast carcinoma arising from lobules is called as lobular carcinoma. It is 10% common.

Cutaneous Manifestations of Carcinoma Breast

Peau d’orange: Due to obstruction of dermal lymphatics, openings of the sebaceous glands and hair follicles get buried in oedema giving rise to orange peel appearance.
Dimpling of skin due to infiltration of ligament of Cooper.
Retraction of nipple due to infiltration of lactiferous duct.
Ulceration, discharge from the nipple and areola.
Skin ulceration and function.
Cancer-en-cuirasse: Skin over the chest wall and breast is studded with cancer nodules appearing like an armour coat.